A 36-year-old woman is admitted to the hospital with severe head injuries after a car crash. During neurologic examination it is noted that her uvula is deviated to the right. Which of the following muscles is paralyzed?
1. Left levator veli palatini
2. Left tensor veli palatini
3. Right levator veli palatini
4. Right tensor veli palatini

Correct answer: 1. Left levator veli palatini

Explanation: The uvula would move toward the intact right side. This is because the intact levator veli palatini would be unopposed by the opposite, paralyzed left levator veli palatini.